False regarding Anganwadi worker-
1. Training for 4 months
2. Under ICDS scheme
3. Gets 1500 Rs per month
4. Full-time worker

Correct answer: 4. Full-time worker

Explanation: Ans. is 'd' i.e., Full time worker o Anganwadi workers are under ICDS scheme.o There is an anganwadi worker for a population of 400-800 in plains and 300-800 in hilly/tribal areas.o She undergoes training in various aspects of health, nutrition and development for 4 months. o She is a part-time worker.o She is paid an honorarium of Rs. 1500 per month.